Gallows traction is used for fracture:
1. Shaft femur
2. Neck femur
3. Shaft tibia
4. Tibial tuberosity

Correct answer: 1. Shaft femur

Explanation: Ans. a. Shaft femur Gallow's traction is used for treatment of fracture shaft of femur, in infants and children Gallow's Traction Gallow's traction is used for treatment of fracture shaft of femur, in infants and children Weight must not be >12 kgs Both the fractured and the normal femur are placed in skin traction and infant is suspended by these from a special frame. The buttocks should be lifted just off the bed so that the weight of the body provides counter traction and the fracture is reduced Uses of Tractions Name Use Bryant's TractionQ Fracture shaft of femur in children Gallow's TractionQ Fracture shaft of femur in children Russel's TractionQ Fracture shaft of femur in older children Perkin's TractionQ Fracture shaft of femur in adults 90deg-90deg TractionQ Fracture shaft of femur in children Agnes-Hunt TractionQ Correction of Hip deformit Well-Leg TractionQ Correction of adduction or abduction deformity of hip Dunlop TractionQ Supracondylar fracture of humerus Smith's TractionQ Supracondylar fracture of humerus Uses of Tractions Name Use Calcaneal Traction Open fractures of ankle or leg Metacarpal Traction Open forearm fractures Head-Halter Traction Cervical spine injuries Crutchfield TractionQ Cervical spine injuries Halo-Pelvic Traction Scoliosis